A young pregnant mother at 32 weeks gestation presents in preterm labor. Antenatal steroid to induce fetal lung maturity is indicated in all of the following conditions, EXCEPT:
1. Prolonged rupture of membranes for more than 24 hrs
2. Pregnancy induced hypertension
3. Diabetes mellitus
4. Chorioamnionitis

Correct answer: 4. Chorioamnionitis

Explanation: Patient in the clinical scenario is in preterm labour. For patients in 32 weeks of gestation, steroids are given to induce lung maturity. But if the patient is having chorioamnionitis, steroids are contraindicated, as steroids can accelerate the infection. Chorioamnionitis can be diagnosed clinically by the presence of maternal fever, tachycardia and uterine tenderness. When this is diagnosed, fetal and maternal morbidities increase and delivery is indicated, regardless of the fetal gestational age. Ampicillin is the drug of choice to treat group B streptococcal infection. Ref: Williams Obstetrics, 22nd Edition, Pages 864-5 ; Textbook of Obstetrics By DC Dutta, 6th Education, Pages 317-8